Which of the following is associated with highest risk of HIV transmission?
1. Blood transfusion
2. Disposable needle prick
3. Sexual transmission
4. Mother to baby

Correct answer: 1. Blood transfusion

Explanation: Ans. a (Blood transfusion). (Ref. Park, PSM, 18th ed., 98, 338)# Among all sources of HIV heterosexual promiscuity are major route and 85% HIV infections occur due to unprotected and multiple sexual contacts with the risk of 0.3 to 3%.# The highest risk of HIV transmission is with blood transfusion (90-95%).